Hepatitis B vaccine should be given as per which schedule:
1. 0,1,6 days
2. 0,1,6 weeks
3. 0,1,6 months
4. 0,1,6 years

Correct answer: 3. 0,1,6 months

Explanation: Ans. C: 0, 1, 6 months The dose for the adult is 10-20 micrograms initially and again at 1 and 6 months. Children under 10 years should be given half of the adult doses at the same intervals or at 6, 10 and 14 weeks as per Indian National Immunization Schedule. For greater reliability of absorption, deltoid is the preferred for injection as gluteal injection often results in deposition of the vaccine in fat rather than in muscle. For Children under 2 years of age, anterolateral aspect of thigh is used as vaccination site.